Tumbling motility is seen in:
1. Yersinia
2. Listeria
3. Proteus
4. Pseudomonas aeruginosa

Correct answer: 2. Listeria

Explanation: Ans. (b) ListeriaRef: Microbiology by Ananthanarayan and Paniker 8th ed. / 226, 395* Listeria is the bacteria that is classically associated with tumbling motility.Swarming MotilityProteusGliding MotilityP. Auriginosa, MycoplasmaDarting MotilityCampylobacter, Vibrio CholeraFalling Leaf MotilityGiardiaShooting Star MotilityVibrioCork Screw MotilityT. PallidumLashing motilityBorrelia